A patient on treatment for leukemia, develops chest pain, pulmonary infiltrates and pleural effusion. The likely cause is -
1. Daunorubicin
2. Hydroxyurea
3. Cytarabine
4. Tretinoin

Correct answer: 4. Tretinoin

Explanation: Ans. is 'd' i.e., Tretinoin o Tretinoin causes chest pain, pleuritis, pulmonary infiltrates and pleural effusion. It is a known human teratogen. Daunorubicin and doxorubicin cause cardiotoxicity manifested as arrhythmias and CHF.